Hypercalcemia occurs in which type of lung cancer?
1. Oat cell
2. Giant cell
3. Squamous cell
4. Alveolar cell

Correct answer: 3. Squamous cell